All are stop codon except?
1. UAA
2. UGA
3. UAG
4. UCA

Correct answer: 4. UCA

Explanation: Ans. is 'd' i.e., UCA Stop codon (or termination codon)o In the genetic code, a stop codon is a nucleotide triplet within messenger RNA that signals a termination of translation into proteins.o Most codons in messenger RNA (from DNA) correspond to the addition of an amino acid to a growing polypeptide chain, which may ultimately become a protein. Stop codons signal the termination of this processo In the standard genetic code, there are three different stop codons:A) in RNA:i) UAG ("amber")ii) UAA ("ochre")iii) UGA ("opal")B) in DNA:i) TAG ("amber")ii) TAA ("ochre")iii) TGA ("opal" or "umber")